The target antigen in dermolytic variant of epidermolysis bullosa is:
1. Laminin 5
2. Keratin 5 and 14
3. Collagen 7
4. Kindlin-1

Correct answer: 3. Collagen 7

Explanation: Epidermolysis bullosa is classified into 4 types depending on the level of cleavage: 1. Epidermolytic variant : Keratin 5 & 14 (most common antigen) 2. Lamina lucida lytic : Laminin 5 (most common antigen) 3. Dermolytic variant : Type 7 collagen (most common antigen) 4. Mixed variant : Kindlin-1 (most common antigen) Ref: Rook's Textbook of Dermatology, 8th Edition, Page 39.2.